Very commonly used suture material in oral surgical procedures
1. Chromic gut
2. Polygalactin
3. Cotton
4. Black silk

Correct answer: 4. Black silk